Which one of the following neurotransmitters functions to increase cardiac output?
1. GABA
2. Serotonin
3. Norepinephrine
4. Glutamate

Correct answer: 3. Norepinephrine

Explanation: Norepinephrine increases cardiac output Dopamine and GABA are CNS inhibitors. Glutamate is the most common excitatory neurotransmitter of the CNS. Serotonin functions as a pain inhibitor, in mood control and in sleep. Serotonin is a biogenic amine but not a peptide